Which of following Culture media combination is/are true except:
1. Thayer-Martin media: Gonorrhoea
2. Chocolate agar-: enriched media
3. Lowenstein-Jensen Medium: Mycobacterium tuberculosis
4. Muller-Hinton agar: Corynebacterium diphtheriae

Correct answer: 4. Muller-Hinton agar: Corynebacterium diphtheriae

Explanation: Ans: d. Muller-Hinton...Thayer-Martin is a useful selective media for Neisseria gonorrhoeae''.Mueller-Hinton is enriched media for Neisseria.C diphtheriae and other corynebacteria grow aerobically on most ordinary laboratory media. On Loeffler's serum medium, corynebacteria grow much more readily than other respiratory organisms, and the morphology of organisms is typical in smears.Lowenstein-Jensen Medium. It is used to culture tubercle bacilli. It contains egg, malachite green and glycerol.Chocolate Agar or Heated Blood agar: Prepared by heating blood agar. It is used for culture of pneumococcus, gonococcus, meningococcus and Haemophilus. Heating the blood inactivates inhibitor of growths.